Increased alanine during prolonged fasting represents-
1. Increased breakdown of muscle proteins
2. Impaired renal function
3. Decreased utilization of amino acid from Glucogenesis
4. Leakage of amino acids from cells due to plasma membrane leakage

Correct answer: 1. Increased breakdown of muscle proteins

Explanation: During prolonged fasting there is increased gluconeogenesis. Alanine is provided by the muscle is one of the substrates for gluconeogenesis and is called Glucose Alanine cycle. So plasma level of alanine increases in prolonged starvation.